A patient presents with pain in the thigh, relieved by aspirin. X-ray shows a radiolucent mass surrounded by sclerosis. Diagnosis is -
1. Osteoma
2. Osteoid osteoma
3. Osteoblastoma
4. Osteoclastoma

Correct answer: 2. Osteoid osteoma

Explanation: Radioluscent lesion with surrounded sclerosis and pain relived by a salicylate are characteristic of Osteoid osteoma Refer Maheshwari 9TH ED p 235